A 50 year old man with a history of smoking, hypertension, and chronic exertional angina develops several daily episodes of chest pain at rest compatible with cardiac ischemia. The patient is hospitalized. All the following would be part of an appropriate management plan except -
1. Intravenous heparin
2. Aspirin
3. Intravenous nitroglycerin
4. Lidocaine by bolus infusion

Correct answer: 4. Lidocaine by bolus infusion

Explanation: Ref: R Alagappan - Manual of Practical Medicine 4th Edition.pg no:188-190 Management 1. Bed-rest 2. Nasal O2 3. Morphine given in an intravenous form (< 1 mg per minute) to a maximum dose of 10-15 mg. It acts as a pulmonary venodilator and also as an analgesic to alleviate anxiety 4. Nitrates may be given sublingually for rapid action of relief of pain by coronary vasodilation. It also helps to reduce the preload of the heart, being a predominant venodilator. If pain persists after administration of sublingual nitrates, IV infusion of nitroglycerine may be given, provided the systolic BP is maintained above 100 mm Hg 5. Aspirin is given orally in the dose ranging from 100 to 300 mg 6. Thrombolytic therapy (Streptokinase, Urokinase, Tissue plasminogen activator) may be given and is particularly useful if given within 6 hrs of onset of Comparison of Anterior and Inferior Wall Myocardial Infarction Features Anterior MI Inferior MI 1. Extent of necrosis Large Small 2. Extent of coronary atherosclerosis Small Large 3. Complications a. Ventricular septal rupture Apical, easily repaired Basal, difficult to repair b. Aneurysm Common Uncommon c. Free wall rupture Uncommon Rare d. Mural thrombus Common Uncommon e. Heart blocks Uncommon Common f. Bundle branch blocks Common Uncommon 4. Prognosis Worse than that of inferior MI Better than that of anterior MI 5. Diagnosis a. Symptoms Gastrointestinal symptoms unusual Gastrointestinal symptoms (nausea, vomiting, hiccough) common b. Physical examination Tachycardia; hypotension uncommon. Bradycardia; hypotension common. Jugular venous distention less Jugular venous distention common. common than with inferior MI. 20% have S3 50% have S3 c. ECG Features of anterior wall MI Features of inferior wall MI d. Echocardiogram Abnormal left ventricular wall Abnormal left ventricular wall motion motion is anterior in location. is inferior in location. Right ventricular No abnormal right ventricular abnormal wall motion present in wall motion approximately one-third of patients. symptoms, but may be given upto 12 hrs after onset of symptoms. Ideal--door to needle time 30 min. 7. Heparin may be given in a dose of 5000 U, 12 hourly, subcutaneously, as prophylaxis against development of deep vein thrombosis and 12,500 U, 12 hourly, subcutaneously, as prophylaxis against development of mural thrombus or extension of the coronary thrombus, for a period of 7-10 days 8. b-blockers are started immediately, or after two weeks and given for a minimum duration of two years, if there is no contraindication for their use, as these agents (atenolol, metoprolol, propranolol) help in reducing morbidity and mortality significantly. b-blockers can be given even if the ejection fraction as determined by Echo is < 40%, but calcium channel blockers must be avoided 9. ACE inhibitors help in cardiac remodelling and reduce morbidity and mortality 10. Treatment of the associated complications as and when they arise 11. Advice patient to stop smoking 12. Control of associated risk factors (systemic hypertension, diabetes mellitus, hyperlipidaemia) 13. Rehabilitation If the patient is stable and no complications: Sit in a chair - 2nd day Walk to toilet - 3rd day Return home - 7th day Back to work - 6th week Driving (LMV) - 6 weeks Intercourse - 8 weeks Air travel - 8 weeks 14. Surgery (coronary angioplasty, coronary artery bypass grafting) if medical management fails or if there is severe compromise of coronary circulation. 15. Drug eluting stents - Many drugs have been considered for drug eluting stents. The main drugs used are paclitaxel (Taxol), sirolimus and their derivatives (tacrolimus, everolimus). These stents have lower rates of restenosis. They act by inhibiting neointimal hyperplasia (antiproliferative action). 16. Assessment of ischaemic burden: A sub-maximal stress testing is done at the end of first week and a maximal exercise stress test at the end of 6 weeks. Stress testing aids in assessing the patient's ischaemic burden and planning further line of management. 17. Alternate therapies: * Transmyocardial laser revascularisation by percutaneous technique * Enhanced external counterpulsation to decrease the frequency of angina * Spinal cord stimulation ( C7-T1 - epidural space electrode) to improve anginal symptoms